The culture media of choice for growing most of the fungi is
1. Dorsett egg media
2. LJ media
3. Loeffler serum slope media
4. Sabouraud's agar

Correct answer: 4. Sabouraud's agar

Explanation: Sabouraud's agarType of agar growth medium containing peptones. Dermatophyte hyphae specimens are inoculated on Sabouraud's medium and incubated at room temperature.Choice 1-3 are media used for growing Mycobacterium TuberculosisReference: Ananthanarayan and Paniker's Textbook of Microbiology; 10th edition